A 48 year old male incurred road traffic accident leading to a brain lesion. Now the patient feels euphoric, laugh uncontrollably, joke & make puns. Which of the following brain part may be involved?
1. Parietal lobe
2. Prefrontal cortex
3. Occipital lobe
4. Cerebellum

Correct answer: 2. Prefrontal cortex

Explanation: Ans. B. Prefrontal cortexA lesion to the left prefrontal area abolishes the normal mood-elevating influences of this area and produces depression and uncontrollable crying. In contrast, a comparable lesion to the right prefrontal area may produce laughter, euphoria, and a tendency to joke and make puns.